A 3 Month baby will have:
1. Pincer grasp
2. Head control
3. Sitting with support
4. Transfer objects

Correct answer: 2. Head control

Explanation: Ans: B (Head control.) [Ref: O.P. Ghai 7th/23-30; Nelson 18th/44-45)Table (Nelson): Emerging Patterns of Behavior During the 1st Year of LifeAT 3 MOProneLifts head and chest with arms extended; head above plane of body on ventral suspensionSupineTonic neck posture predominates; reaches toward and misses objects; waves at toySittingHead lag partially' compensated when pulled to sitting position; early head control with bobbing motion15; back roundedReflexTypical Moro response has not persisted; makes defensive movements or selective withdrawal reactionsSocialSustained social contact; listens to music; says" aah, ngab"O.P Ghai: MilestoneAgeMilestone3 monthsNeck holding5 monthsSitting with support8 monthsSitting without support9 monthsStanding with support5-7 monthsTransfers objects from one hand to other7 monthsPalmar grasp9 monthsPincer grasp5-8 monthsRolling in bed8 monthsCrawling in bed10 monthsCreeping in bed keeping abdomen off ground12 monthsTwo words with meaning18 monthsTen words with meaning24 monthsSimple sentence36 monthsTelling a storyTable (Nelson): Developmental Milestones in the First 2 Yr of Life (Very imp. For all exams)MilestoneAverage Age Of Attainment (Mo)Gross Motor Holds head steady while sitting2Pulls to sit, with no head lag3Brings hands together in midline3Asymmetric tonic neck reflex gone4Sits without support6Rolls back to stomach6.5Walks alone12Runs16Fine Motor Grasps rattle3.5Reaches for objects4Palmar grasp gone4Transfers object hand to hand5.5Thumb-finger grasp8Turns pages ofbook12Scribbles13Builds tower of 2 cubes15Builds tower of 6 cubes22Communication And Language Smiles in response to face, voice1.5Monosyllabic babble6inhibits to "no"7Follows one-step command with gesture7Follows one-step command without gesture10Says "mama" or "dada"10Points to objects10Speaks first real word12Speaks 4-6 words15Speaks 10-15 words18Speaks 2 word sentences (e.g, "Mommy shoe")19 Cognitive Stares momentarily at spot where object disappeared2Stares at own hand4Bangs 2 cubes8Uncovers toy (after seeing it hidden)8Egocentric symbolic play (e.g., pretends to drink from cup)12Uses stick to reach toy17Pretend play with doll (e.g., gives doll bottle)17